Radiograph of the ankle of a diabetic patient with painless, swollen joint shows destroyed joint with large number of loose bodies. The most probable diagnosis is:
1. Charcot's joint
2. Clutton's joint
3. Osteoarthritis
4. Rheumatoid arthritis

Correct answer: 1. Charcot's joint

Explanation: Neuropathic arthritis (Charcot's joint) is encountered most often in patients with diabetes mellitus. It is a progressive destructive arthritis associated with loss of pain sensation, proprioception, or both. Without these protective mechanisms, joints are subjected to repeated trauma, resulting in progressive cartilage and bone damage. There is fragmentation and eventual loss of articular cartilage with eburnation of the underlying bone resulting in the formation of loose bodies. Clutton's joints is a term describing the finding of symmetrical joint swelling seen in patients with congenital syphilis. It is most commonly affects the knees presenting with synovitis and joint effusions. Ref: Harrisons principles of internal medicine, 18th edition, chapter: 336